According to the WHO classification of anterior teeth, 873.66 means:
1. Crown and root fracture.
2. Concussion or luxation.
3. Intrusion or extrusion.
4. Avulsion.

Correct answer: 2. Concussion or luxation.

Explanation: Andresen or WHO classification of anterior tooth fractures: